Collecting duct develops from which of the following?
1. Mesonephros
2. Metanephros
3. Ureteric bud
4. Paramesonephric duct

Correct answer: 3. Ureteric bud